Pulmonary Plethora is seen in -
1. TOF
2. TAPVC
3. CoA
4. Tricuspid Atresia

Correct answer: 2. TAPVC

Explanation: Pulmonary plethora It is a term used to describe the appearances of increased pulmonary perfusion on chest radiographs. It may occur in several situations : Total anomalous pulmonary venous return (TAPVC) Left-to-right cardiac shunts (e.g. ASD, VSD, PDA) Truncus Arteriosus Vein of Galen Malformation Transposition of the Great Arteries It may also been seen in pregnancy due to increased cardiac output.